Which of the following is not a free radical, but it is a reactive oxygen species?
1. Hydroxyradical
2. Hydrogen peroxide
3. Superoxide radical
4. Both 1 & 2

Correct answer: 2. Hydrogen peroxide

Explanation: Most powerful oxygen free radical is Hydroxyradical.
Least powerful Reactive Oxygen species(ROS) is Hydrogen peroxide.
Precursor of all Reactive Oxygen species is Superoxide radical.
H2O2 is not a free radical,  but a ROS.

Reference- Review of biochemistry Pg-411